An absolute indication of Cesarean Section is?
1. Malpresentation
2. Previous Cesarean section
3. CPD
4. Breech presentation

Correct answer: 3. CPD

Explanation: ANSWER: (C) CPD REF: Dutta 6th ed page 589 Indications for caesarean section: ABSOLUTE RELATIVE Central placenta previa Absolute CPD Pelvic mass causing obstruction Advanced cervical ca Vaginal obstruction CPD (relative) Previous CS Non reassuring FHR or fetal distress Dystochia Antepartum hemmorrhage Malpresentation Failed surgical induction Bad obstetric history Hypertensive disorder Medical gynaecological disorders Indications of caesarean section in cases of previous CS: When primary was due to a recurrent indication like CPD Previous two CS Features of scar dehiscence Previous classical CS